In DNA structure, maximum number of bonds are seen amongst which of the following pair:
1. A-T
2. G-C
3. A-G
4. C-T

Correct answer: 2. G-C

Explanation: DNA is a double-stranded molecule twisted into a helix (think of a spiral staircase).Each spiraling strand, comprised of a sugar-phosphate backbone and attached bases, is connected to a complementary strand by non-covalent hydrogen bonding between paired bases.The bases are adenine (A), thymine (T), cytosine (C) and guanine (G).A and T are connected by two hydrogen bonds. G and C are connected by three hydrogen bonds.